Features of Barrett's esophagus are all Except
1. Metaplasia
2. Always gastric type of epithelium
3. Adenocarcinoma more common
4. Present as patchy or ring involvement

Correct answer: 2. Always gastric type of epithelium

Explanation: Barrett's esophagus is specialized columnar metaplasia that replaces the normal squamous mucosa of the distal esophagus in some persons with GERD. Barrett's epithelium is a major risk factor for adenocarcinoma of the esophagus and is readily detected endoscopically, due to proximal displacement of the squamocolumnar junction.Barrett's metaplasia, endoscopically recognized by tongues of reddish mucosa extending proximally from the gastroesophageal junction or histopathologically by the finding of specialized columnar metaplasia , is associated with a substantiallyincreased risk for development of esophageal adenocarcinomaRef: Harrison; 19th edition; Page no: 1895